Which of the following antibacterial causes both ototoxicity and nephrotoxicity :
1. Methicillin
2. Vancomycin
3. Clindamycin
4. Azithromycin

Correct answer: 2. Vancomycin